The most common paediatric cardiac tumour among the following is
1. Fibromas
2. Rhabdomyomas
3. Myxomas
4. Hemangiomas

Correct answer: 2. Rhabdomyomas

Explanation: The vast majority of tumours originating from the heart are benign. Rhabdomyomas are the most common pediatric cardiac tumours and are associated with tuberous sclerosis in 70-95% of cases. Rhabdomyomas may occur at any age, from fetal life through late adolescence. They are often multiple, can occur in any cardiac chamber, and originate within the myocardium extending, often, into the atrial or ventricular cavities. Depending on their location and size, they can result in inflow or outflow obstruction leading to cyanosis or cardiac failure; many are asymptomatic. Atrial and ventricular arrhythmias have been reported with rhabdomyomas, and on occasion, ventricular pre-excitation (Wolff-Parkinson-White) is present on electrocardiogram. Reference: Nelson; 20th edition; Page no: 2281